Latest oral direct thrombin inhibitor is?
1. Ximelagatran
2. Indraparinux
3. Dabigatran
4. Fondaparinux

Correct answer: 3. Dabigatran

Explanation: Ximelagatran was the first oral direct thrombin inhibitor approved; however, it was subsequently withdrawn from the market because of reports of liver failure. Recently a new oral direct inhibitor, dabigatran, was approved for use in Europe for prevention of various thromboembolism in patients who have undergone hip or knee replacement surgery. REF : katzung pharmacology : 14th ed